Which of the following is not true regarding Thyroglossal cyst?
1. 80% are found in juxtaposition to the hyoid bone
2. Heterotopic thyroid tissue present in 20% of cases
3. Rarely can contain foci of Follicular carcinoma
4. Treatment of choice is Sistrunk operation

Correct answer: 3. Rarely can contain foci of Follicular carcinoma

Explanation: Thyroglossal cystO80% are found in juxtaposition to the hyoid boneOHeterotopic thyroid tissue present in 20% of cases.OSmooth, well-defined midline neck mass that moves upward with protrusion of the tongue.O1% of thyroglossal duct cysts are found to contain cancer ,Papillary (85%)."SISTRUNK OPERATION,"- en bloc cystectomy and excision of the central hyoid bone to minimize recurrence.